All are paired cartilage of larynx except -
1. Arytenoid
2. Corniculate
3. Cuneiform
4. Cricoid

Correct answer: 4. Cricoid

Explanation: Unpaired : - Thyroid, cricoid, epiglottis.
Paired : - Arytenoid, Corniculate, cuneiform